Which of the following is not a true association of thymoma ?
1. Myasthenia gravis may be seen
2. Hypergrammaglobulinemia
3. Pure red cell aplasia
4. Superior mediastinal compression syndrome

Correct answer: 2. Hypergrammaglobulinemia

Explanation: The usual association is hypogamaglobuthemia not hyperglobulinemia.